Current therapeutic status of milrinone in CHF is:
1. First choice drug for a patient of mild CHF
2. As an add on drug to tide over the crisis in refractory CHF
3. Best drug for long-term maintenance therapy of CHF
4. Used only to suppress digitalis induced arrhythmias

Correct answer: 2. As an add on drug to tide over the crisis in refractory CHF